Antibodies to calcium channel are seen in
1. Eaton lambert syndrome
2. Dermatomyositis
3. Myaesthenia gravis
4. Polymyositis

Correct answer: 1. Eaton lambert syndrome

Explanation: Lambert-Eaton syndrome presents with proximal muscle weakness that improves with exercise & is caused by the development of antibodies to presynaptic calcium channels. Myasthenia gravis is autoimmune disease caused by the development of antibodies to postsynaptic acetylcholine receptors.Polymyositis & Dermatomyositis are related disorders that are characterised by an inflammatory process affecting skeletal muscle. In dermatomyositis,characteristic skin changes also occur. Davidson's Medicine-22nd edition,page no:272,1114,1226,1227